During post disaster period most commonly reported disease is
1. Acute respiratory infections
2. Tetanus
3. Gastroenteritis
4. Urinary tract infection

Correct answer: 3. Gastroenteritis